Organelle where H2O2 is produced and is destroyed
1. Peroxisomes
2. Lysosomes
3. Golgi body
4. Ribosomes

Correct answer: 1. Peroxisomes

Explanation: Peroxisomes: Organelle where H2O2 is produced and destroyed. H2O2 generated from superoxide by superoxide dismutase (SOD). Catalase present in Peroxisomes catalyzes the decomposition of H2O2 to O2 and H2O. It is one of the active enzymes capable of degrading millions of H2O2 per sec. Refer robbins 9/e p9